A 70-year male utters same answers to all questions. He is suffering from
1. Mania
2. Schizophrenia
3. Organic brain disease
4. Convulsions

Correct answer: 3. Organic brain disease

Explanation: Same answers to all questions' can be seen in schizophrenia, mania and organic brain disease also but the age factor in this question is pointing more towards organic brain disease like dementia. Hence option C is more appropriate answer among the given options. Reference: The peak ages of onset of schizophrenia are 10 to 25 years for men and 25 to 35 years for women.About 90 percent of patients in treatment for schizophrenia are between 15 and 55 years old. Onset of schizophrenia before age 10 years or after age 60 years is extremely rare. The age of onset for bipolar I disorder ranges from childhood (as early as age 5 or 6 years) to 50 years or even older in rare cases, with a mean age of 30 years. The mean age of onset for major depressive